Carpometacarpal joint of thumb is_____ type of joint
1. Ball and socket
2. Hinge
3. Plane
4. Saddle

Correct answer: 4. Saddle

Explanation: Ans. d (Saddle joint) (Ref BDC vol. l/ 4th/ 154)Classification of jointsA.Svnovial joints TypeExampleType of Movements permitted1Ball-and-Socket# Hip joint, Shoulder, Calcaneo-cuboid, Incudostapedial.Movement in all planes, as well as rotational movement around a central axis.2Condyloid# Knee and TM jointVariety of movement in different planes, but rotational movement is possible.3Gliding (Ellipsoid)# Atlanto-occipital, Metacarpophalangeal,WristSliding back and forth motion only.4Hinge# Elbow joint, Ankle, Interphalangeal,Flexion and extension in one plane only5Pivot# Atlanto-axial, Superior and inferior radioulnarRotation around a central axis only6Saddle # Carpometacarpal joint of the thumb, Variety of movements Sternoclavicular, and Incudomalleolar B.Cartilaginous joints# Primary (Synchondrosis/hyaline cartilaginous): a. Joint between epiphysis and diaphysis of long bones, b. Spheno-occipital, c. First chondrosternal, and d. Costochondral# Secondary (symphysis/fibrocartilaginous): a. Symphysis pubis^, b. Manubriosternal, c. IntervertebralC.Fibrous joints# Skull sutures# Syndesmosis e.g. Foot plate of stapes with oval window and Inferior tibiofibular joint?# Gomphosis/peg and socket e.g. Tooth.Additional Educational PointsClassification of Cartilages HyalineFibrocartilageElastic1EmbryonicAcromioclavicular jointExternal ear cartilage2ArticularIntervertebralInlet of larynx3CostalIntra-articular discEustachian tube4TracheobronchialMenisci and labrumEpiglottis5Nasal/laryngeal